Non aqueous solvent based MTA are all except:
1. MTA fillapex
2. Endo sequence BC
3. iRoot sp
4. Endo cpm

Correct answer: 4. Endo cpm

Explanation: Endo cpm and MTA plugs are aqueous solvent based MTA.